What is Falanga?
1. Beating on soles with blunt object
2. Beating on ear with both palms
3. Beating on the abdomen
4. Suspension by wrists

Correct answer: 1. Beating on soles with blunt object

Explanation: Beating on the soles with blunt object Methods of torture 1. Beatings: - To the soles of the feet (falanga, falaka, baatinada) - With the palms on both the ears simultaneously (el telefone) - On the abdomen, while lying on a table with the upper half of the body unsupported (operating table, el quirofano) 2. Suspension: - By the wrist (la bandera) - By the arms or neck - By the ankles (mercelago) - Head down, from a horizontal pole placed under the knees, with the wrists bound to the ankles (parrot's perch, jack, pau de arara) - Bhutanese technique - tight clamping of the thighs or legs with bamboo, sometimes for a number of days. The torturer may press the two sides of the clamps with his legs or may stand on the two sides of the clamps (chepuwa) 3.Near suffocation: - Forced immersion of head in water, often contaminated (wet submarine, pileta, latina) - Tying of a plastic bag covering the head and face (dry submarine) 4. Electric: - Torturing with electric shocks, usually placing electricity terminals in the vagina, mouth, anus, or over testicles and nipples (picana) - Heated metal skewer inserted into the anus (black slave). 5.Forced posture: - Prolonged standing (el planton) - Forced straddling of a bar (saw horse, el cabellete)